Skin biopsy in leprosy is characterizedby:
1. Pariappendegial bacilli
2. Pariappendegeal lymphocytosis
3. Perivascular lymphocytosis
4. All of above

Correct answer: 4. All of above

Explanation: D i.e. All of above Skin Biopsy of Leprosy - Lymphocytes, epitheloid cells, granuloma, Langhans type giant cell infiltration around blood vessels, appendages & nervesQ - Foam cells which consists of histiocytes loaded with lipid globules derived from the leprosy bacilli; (in LL) - Z - N stain show large no. of lepra bacilliQ in dermal infiltrate & foam cells. (in LL) Lepromatous Leprosy (LL) - Histology: Thinning of epidermis, and flattening of rate ridges above a clear (free) subepidermal grenz zoneQ. The papillary layer of dermis appears as clear band whilst deeper in dermis lies diffuse leproma consisting of dense, uniform, foamy macrophage infiltrate, with a addition of few pseudo follicular aggregates of lymphocytes, plasma cells and mast cells. The dermis contains enormous number of AFB, singly or in clumps (globi) Q. There is asymptomatic bacillation of schwann cells Vt foamy degenerationQ. Demyelinaton, damage and destruction of axis cylinder are prominent features lit Wallerian degeneration. Despite large numbers of bacilli in nerve there is only a small inflammatory responseQ; ultimately the nerve fibroses and hyalinized. In LLs there is an onion skin perineurial lamination but not infiltration. In LLp perineurium is undisturbed. Diffuse erythema becoming worse on exposure to sun; Mucous membrane involvement & ulceration; Regurgitation due to perforation of palate.